Commonest cause of esophageal performation is?
1. Acid ingestion
2. Hyperemesis
3. Instrumentation
4. Carcinoma infiltrating

Correct answer: 3. Instrumentation

Explanation: Ans. is 'c' i.e. Instrumentation